Tt/t of choice in status epilepticus
1. Im diazepam
2. i.v diazepam
3. Im phenytoin
4. i.v. phenytoin

Correct answer: 2. i.v diazepam

Explanation: K.D Tripathy essentials of medical pharmacology 7th edition . *Diazepam 10mgi.v inj.at 2mg/min ,repeat once after 10min if required.